Lymphnodes not involved in CA endometrium is
1. Paraaortic
2. Presacral
3. Inferior mesentric
4. Inguinal

Correct answer: 3. Inferior mesentric

Explanation: Ans-C Inferior mesenteric Lymphatics from the uterus do not drain inferior mesenteric nodesLymphatic drainage of uterus -Upper lymphatics - Aortic & superficial inguinal nodes* (from fundus)Middle lymphatics - Ext. iliac nodes* (from body)Lower lymphatics - Ext. iliac nodes, internal iliac nodes* (from cervix)